Highest compliance is seen in which vessel
1. Arteries
2. Veins
3. Aorta
4. Capillaries

Correct answer: 2. Veins

Explanation: The walls of the venules are only slightly thicker than those of the capillaries.The walls of the veins are also thin and easily distendedThey contain relatively little smooth muscle, but considerable vasoconstriction is produced by activity in the noradrenergic nerves to the veins and by circulating vasoconstrictors such as endothelinsThis gives veins high capacity for complianceRef: Ganong's Review of Medical Physiology Twenty-Third Edition Page No:538